Which is ssrna unenveloped virus -
1. HBV
2. HEV
3. HCV
4. None

Correct answer: 2. HEV

Explanation: HEV a spherical non envoloped virus with a single stranded RNA genome REF:ANANTHANARAYANAN TEXT BOOK OF MICROBIOLOGY 9EDITION PGNO.550